The principle supports of the uterus are:
1. The iliosacral ligaments
2. The pyriformis muscle
3. The transverse cervical ligaments
4. The infundibular ligaments

Correct answer: 3. The transverse cervical ligaments

Explanation: Ans. C. The transverse cervical ligaments* The principle supports of the uterus are the transverse cervical ligaments (cardinal ligaments), uterosacral ligaments and the round ligament.* The infundibular ligaments attach the ovaries to the posteo-lateral wall of the uterus.* The pyriformis muscle lines the lateral wall of the pelvis overlying the iliosacral ligament.